Which immunoglobulin combination is predominantly in pathogenesis of cryglobulinemic vasculitis
1. IgA + IgG
2. IgM + IgG
3. IgA + IgE
4. IgE + IgM

Correct answer: 2. IgM + IgG

Explanation: Answer- B. IgM + IgGcryoglobulinemic vasculitis occurs when an aberrant immune response to hepatitis C infection leads to the formation of immune complexes consisting of hepatitis C antigens,polyclonal hepatitis C-specific IgG, and monoclonal IgM rheumatoid factor.